Group function occlusion is common in:
1. 10-14 years
2. 15-25 years
3. Above 30 years
4. Edentulous patients

Correct answer: 3. Above 30 years